Functions of female health worker includes –
1. Visit 4 subcentres/month Health Assistment
2. Enlist dais of the sub–centre
3. Conduct 50% delivery
4. Chlorinalion of water Health worth male

Correct answer: 2. Enlist dais of the sub–centre

Explanation: FHW meet health assistant each week (not each month).
FHW enlists dais in her area.
FHW conducts deliveries when called for (not 50%).